FNAC is not useful in which of the following thyroid carcinoma:
1. Medullary carcinoma
2. Follicular carcinoma
3. Papillary carcinoma
4. Lymphoma

Correct answer: 2. Follicular carcinoma

Explanation: Ans: B i.e. Follicular carcinoma Thyroid carcinoma Thyroid conditions that may be diagnosed by FNAC include colloid nodules, thyroiditis, papillary carcinoma, medullary carcinoma, anaplastic carcinoma & lymphoma FNAC cannot distinguish between a benign follicular adenoma & follicular carcinoma, as this distinction is dependent not on cytology but on histological criteria, which include capsular & vascular invasion